All are cestodes EXCEPT
1. Treponema pallidum
2. Echinococcus
3. Taenia solium
4. Taenia saginata

Correct answer: 1. Treponema pallidum

Explanation: Ref: Harrisons 19th ed. pg. 1146; table 245e1* Cestodes are helminthes. Example of cestodes:CestodesIntermediate hostDefinitive hostTaenia soliumPigManTaenia saginataBeefManEchinococcus granulosusMan, camels and sheepDogEchinococcus multilocularisRodents and humansFoxes, dogs and catsH. nanaManManD. latumCyclops, fresh water fishManNote: Treponema pallidum is a spirochete